All of the following are true regarding Laryngitis sicca except
1. Also known as laryngitis atrophica
2. Common in women
3. Caused by Klebsiella ozaena
4. Caused by Rhinosporodium

Correct answer: 4. Caused by Rhinosporodium

Explanation: ATROPHIC LARYNGITIS (LARYNGITIS SICCA) It is caused by Klebsiella ozaena. It is characterized by atrophy of laryngeal mucosa and crust formation. Condition is often seen in women and is associated with atrophic rhinitis and pharyngitis. clinical features:- Common symptoms include hoarseness of voice which temporarily improves on coughing and removal of crusts. Dry irritating cough and sometimes dyspnoea is due to obstructing crusts. clinical examination:- Examination shows atrophic mucosa covered with foul smelling crusts. When crusts have been expelled, mucosa may show excoriation and bleeding. Crusting may also be seen in the trachea. Treatment:- Treatment is elimination of the causative factor and humidification. Laryngeal sprays with glucose in glycerine or oil of pine are comfoing and help to loosen the crusts. Expectorants containing ammonium chloride or iodides also help to loosen the crusts. Ref:- Dhingra; pg num:-293